Distance of distant direct ophthalmoscopy:
1. 25 cms
2. 50 cms
3. 75 cms
4. 100 cms

Correct answer: 1. 25 cms

Explanation: Distant Direct Ophthalmoscopy Distance at which DDO performed is 25cm done with direct ophthalmoscope. contains light source viewing window. Normally red glow seen Interpretations Red glow= healthy retina Grey glow = Retinal Detachment No glow = vitreous haemorrhage Black spot in centre = cataract or corneal opacity GOLD STANDARD FOR LOCATING SUBLUXATED LENS: DDO